Materials used for therapeutic embolisation are all except
1. Blood clot
2. Ethyl alcohol
3. Wool
4. Omentum

Correct answer: 4. Omentum

Explanation: Omentum is not a material used for therapeutic embolisation.